A 44-year-old male presents with left arm and leg weakness. On assessment, he has significant weakness (MRC 2/5) of the left upper/lower limb in addition to sensory and visual neglect. He is treated for a right middle cerebral artery territory stroke. Which of the following investigation is likely to be least helpful in determining the cause of the stroke?
1. EEG
2. Lipid profile
3. Carotid artery doppler
4. Autoimmune panel

Correct answer: 1. EEG

Explanation: Visual neglect- Cortical feature / Cortical stroke in the patient EEG is not recommended in cases of CVA. It is used in cases of Epilepsy and seizures. Lipid profile- tells us about atherosclerosis which is one of the leading cause for developing ischemic stroke. Carotid artery doppler- also helps to identify atherosclerosis Autoimmune panel- Antiphospholipid Ab syndrome (Recurrent arterial & venous thrombosis) also contribute to developing ischemic stroke, so can be used. These along with ECG, TTE/ TEE are recommended for diagnosing of acute cerebrovascular accident (CVA), cortical stroke in MCA.